That part of the mind which is working on reality principle is -
1. ID
2. Ego
3. Super ego
4. Ego-ideal

Correct answer: 2. Ego

Explanation: The id  → Pleasure principle
The Ego  → Reality principle
The superego → Idealism principle